3' end of t-RNA posseses ?
1. Poly 'A' tail
2. CCA sequence
3. Anticodon
4. D arm

Correct answer: 2. CCA sequence

Explanation: t-RNA molecule get folded into a structure that appears like a clover leaf.There are four arms.Acceptor arm : It consists of a base paired stem that terminates in the sequence CCA at the 3' end. This is the attachment site for amino acids.D arm - It contains the base dihydrouridine (D). Anticodon arm - It contains anticodon that base pairs with the codon of coming mRNA. Anticodon has nucleotide sequence complementary to the codon of mRNA and is responsible for the specificity of the t RNA.Tyr C arm : It contains both ribothymidine (T) and pseudouridine